Chemoreceptors are located in which area-
1. Medulla
2. Arch of aorta
3. Bifurcation of carotid artery
4. All of the above

Correct answer: 4. All of the above

Explanation: Ans. is 'd' i.e., All of the aboveo Central chemoreceptors - On ventral surface of medulla.o Peripheral chemoreceptors - At bifurcation of common carotid artery (carotid body) and arch of aorta (aortic bodies)